In which of the following step is ATP released?
1. a) Phosphoenol pyruvate to pyruvate
2. b) Glyceraldehydes 3 phosphate to 1, 3, biphosphoglycerate
3. c) Fructose 6 phosphate to fructose 1, 6 biphosphate
4. d) Glucose to glucose 6 phosphate

Correct answer: 1. a) Phosphoenol pyruvate to pyruvate

Explanation: Steps releasing ATP are-- 1, 3, biphosphoglycerate to 3 phosphoglycerate (1, 3 biphosphoglycerate Kinase)- Phosphoenol pyruvate to pyruvate( pyruvate kinase)- Succinyl CoA to Succinate ( Succinate Thiokinase)